Foramen ovale transmits all except
1. Emissary vein
2. Mandibular nerve
3. Lesser petrosal nerve
4. Middle meningeal artery

Correct answer: 4. Middle meningeal artery

Explanation: Ans. is 'd' i.e., Middle meningeal artery Foramen ovate transmits (mnemonic - MALE) :- Mandibular nerve Accessory meningeal artery Lesser petrosal nerve Emissory vein